The threshold of hemoglobin A1c for Diagnosis of Overt diabetes in Pregnancy?
1. 6%
2. 6.50%
3. 7%
4. 7.50%

Correct answer: 2. 6.50%

Explanation: Diagnosis of Overt Diabetes in PregnancyMeasure of GlycemiaThresholdFasting plasma glucoseAt least 126mg/dlHemoglobin A1cAt least 6.5%Random plasma glucoseAt least 200mg/dl plus confirmationRef: William's Obstetrics; 24th edition; Chapter 57